A woman who pricked her finger w hile pruning some rose bushes develops a local pustule thatprogressed to an ulcer. Several nodules then developed along the local lymphatic drainage.The most likely etiological agent would be?
1. Aspergillus fiimigatus
2. Candida albicans
3. Histoplasma capsula turn
4. Sporothrix schenckii

Correct answer: 4. Sporothrix schenckii

Explanation: Ans. is 'd' i.e., Sporothrix schenckii o Nodules along the lymphatics after plant prick suggest the diagnosis of sporotrichosis.Sporotrichosiso Sporotrichosis is caused by the thermally dimorphic fungus sporothrix schenckii.o Because S.schenckii naturally found in soil, hav, sphagnum moss, and plants, it usually affects farmers,gardeners, and agricultural workers.o This fungal disease usually affects the skin although rare forms can affect the lungs, joints, bones and CNS.o Fungus enters through small cuts and abrasions in the skin to cause the infection.o Because roses can spread the disease, it is one of a few diseases referred to as rose-thorn or rose gardener's disease.Forms and symptoms of sporotrichosis:Cutaneous (skin) sporotrichosisThis is the most common form of this disease.Symptoms of this form includes nodular lesions or bumps in the skin, at the point of entry and also along lymph nodes and vessels.The lesion starts off as small and painless, nodule and ranges in colour from pink to purple.Left untreated, the lesion becomes larger and looks similar to a boil and more lesions will appear, until a chroniculcer develops.Usually cutaneous sporotrichosis lesions occurs in the finger, hand and arm.Pulmonary sporotrichosisThis rare form of the disease occur when S.schenckii spores are inhaled.Symptoms include productive cough, nodules, cavitations and fibrosis of lungs; and hilar lymph node enlargement.Patients with this form of sporotrichosis are susceptible to developing tuberculosis and pneumonia.Disseminated sporotrichosisWhen the infection spreads from the primary site to secondary sites in the body, the disease develops into a rare and critical form called disseminated sporotrichosis.The infection can spread to joints and bones (called osteoarticular sporotrichosis) as well as the CNS and brain (sporotrichosis meningitis).